All are true about athetosis except
1. Lesion in putamen
2. Slow writhing movements
3. Involuntary movements
4. Voluntarily suppressible

Correct answer: 4. Voluntarily suppressible

Explanation: Athetosis is involuntary movement, but can’t be suppressed voluntarily